Tear drop sign" is seen on Waters view in:
1. Blow out fracture
2. Maxillary mucocele
3. Nasolacrimal duct blockage
4. Fibrous dysplasia

Correct answer: 1. Blow out fracture

Explanation: Ans. Blow out fracture